High stepping gait is due to -
1. Quadriceps paralysis
2. Foot drop
3. Gluteus maximum paralysis
4. CDH

Correct answer: 2. Foot drop

Explanation: Ans. is 'b' i.e., Foot dropo High stepping gait (also called as foot drop gait) is due to foot drop as a result of common peroneal nerve or sciatic nerve injury.o The leg is lifted more in order to get clearance.o First to touch the ground is forefoot (not heel as occurs in normal gait).